Characteristic curve is:
1. A plot of relationship between film optical density and exposure
2. A plot of relationship between contrast and exposure
3. A plot of relationship between film optical density and contrast
4. A plot of relationship between film latitude and radiographic density

Correct answer: 1. A plot of relationship between film optical density and exposure

Explanation: Characteristic curve:
A plot of the relationship between film optical density and exposure is called a characteristic curve. It usually is shown as the relationship between the optical density of the film and the logarithm of the corresponding exposure. As exposure of the film increases, its optical density increases.